Which of the following drugs is contraindicated in a patient with raised intracranial pressure?
1. Thiopentone
2. Propofol
3. Midazolam
4. Ketamine

Correct answer: 4. Ketamine

Explanation: Cerebral blood flow, metabolism, oxygen consumption and ICT all are increased by ketamine - ketamine is contraindicated in raised ICT.(Refer: stoelting's pharmacology and physiology in anaesthetic practice, 5th edition, pg no.186-193)